Which of the following is the causative organism for angular conjunctivitis
1. Moraxella catarrhalis
2. Moraxella lacunata
3. Moraxella pseudogenus
4. Moraxella bovis

Correct answer: 2. Moraxella lacunata

Explanation: Moraxella lacunata is a short,plump,gram negative bacteria usually arranged in pairs.they are strictly aerobic grow on ordinary media were first reported to cause angular conjunctivitis by morax and axenfeld Ref:anantnarayan and paniker's microbiology 10th edition